In a patient only anti HBs Ag is positive in serum, all other markers are negative. This indicates ?
1. Acute hepatitis
2. Chronic active hepatitis
3. Persistent carrier
4. Hepatitis B vaccination

Correct answer: 4. Hepatitis B vaccination

Explanation: Ans. is 'd' i.e., Hepatitis B vaccination